A 50-year old male presents with severe refractory hypertension, weakness, muscle cramps and hypokalemia, the most likely diagnosis is -
1. Hypoaldosteronism
2. Hyperaldosteronism
3. Cushing's syndrome
4. Pheochromocytoma

Correct answer: 2. Hyperaldosteronism

Explanation: hypertension due to increased sodium reabsorption and extracellular volume expansion and potassium depletion causes multiple weakness, hypokalemia ( Harrison 17 pg 2260)